True about Eustachian tube -
1. Length is 36 mm in adults and 1.6 mm to 3 mm in children
2. Higher elastin content in adults
3. Ventilatory function of ear better developed in infants
4. More horizontal in adults

Correct answer: 2. Higher elastin content in adults

Explanation: “Eustachian tube serves to ventilate the middle ear and exchange nasopharyngeal air in the middle ear. In children, ET is relatively narrow. It is prone to obstructionQ when mucosa swell in response to infection or allergic challenge and it results in middle ear effusion”